Which of the following are Inhalational insulins?
1. Afrezza
2. Exubera
3. Both
4. None

Correct answer: 3. Both

Explanation: Afrezza and Exubera are inhalational insulins which are not much used now a days because of pulmonary fibrosis. Ref; HH Sharma 3rd ed.